All of the following conditions may show Mallory Hyaline changes except -
1. Wilson disease
2. Indian childhood cirrhosis
3. Primary biliary cirrhosis
4. Hepatitis E

Correct answer: 4. Hepatitis E

Explanation: Causes of Mallory hyaline include :

Alcoholic liver disease     
Primary biliary cirrhosis  
Indian childhood cirrhosis          
Wilson's disease  
Hepatocellular carcinoma
Focal nodular hyperplasia
Chronic cholestatic syndrome
α1 - antitrypsin deficiency